Inferior tibiofibular joint is which type of joint
1. Gomphosis
2. Condylar
3. Syndesmosis
4. Synchondrosis

Correct answer: 3. Syndesmosis

Explanation: syndesmosis is a fibrous joint between two bones and linked by ligaments and a strong membrane. The distal tibiofibular syndesmosis is asyndesmotic joint. Ref: Maheshwari 6e pg 159,162,163.